Which of the following drug is used for AML
1. Bevacizumab
2. Rituximab
3. Ozogamicin
4. Trastuzumab

Correct answer: 3. Ozogamicin

Explanation: Gemtuzumab Ozogamicin is used in AML -It is directed against cd33 antibody Other drugs used in AML-Arsenic, tretinoin Ref: KD Tripathi 8th ed.